Stroking lateral surface of the foot from the heel to toe results in flexion of the toe is known as:
1. Babinski reflex.
2. Plantar response.
3. Labyrinthine reflex
4. Landau reflex.

Correct answer: 2. Plantar response.